Which of the following drugs DO NOT cause hyper- prolactinemia?
1. Bromocriptine
2. Haloperidol
3. Reserpine
4. Chlorpromazine

Correct answer: 1. Bromocriptine

Explanation: Hyperprolactinemia is caused by D2 blockers. All the drugs listed are D2 blockers except Bromocriptine which is a D2 receptor agonist. It is used in the treatment of Hyperprolactinemia.